A patient presents with recurrent episodes of sharp pain over his right cheek that is precipitated on chewing. Between attacks patients is otherwise normal.The most probable diagnosis is -
1. Preherpetic neuralgia
2. Trigeminal neuralgia
3. Mumps
4. Thalamic syndrome

Correct answer: 2. Trigeminal neuralgia

Explanation: Answer- B. Trigeminal neuralgia